Lesions of the lateral cerebellum cause all of the following, EXCEPT:
1. Incoordination
2. Intention tremor
3. Resting tremor
4. Ataxia

Correct answer: 3. Resting tremor

Explanation: Lesion of the lateral cerebellum is associated with intentional tremor. Resting tremor is associated with parkinsons disease. Ref: Review of Medical Physiology By Willaim Ganong, 22nd Edition, Pages 221-2.